ECT in depressive phase of MDP (bipolar disorder) is useful because it:
1. Produces recurrence
2. Reduces recurrence
3. Shortens duration
4. Increases drug effects

Correct answer: 3. Shortens duration

Explanation: ECT shortens the duration of depressive episode. It does not prevent the recurrence unless given as a maintenance treatment.